Water lilly appearance in a chest radiograph suggests
1. Metastases
2. Cavitating metastasis
3. Aspergilloma
4. Ruptured hydatid cyst

Correct answer: 4. Ruptured hydatid cyst